This muscle is part of hamstrings muscle:
1. Semimembranous
2. Gracilis
3. Short head of biceps femoris
4. Sartorius

Correct answer: 1. Semimembranous

Explanation: Ans. A SemimembranousRef: BDC, 6th ed. vol. II pg. 83Hamstring muscles are* Semimembranosus* Semitendinosus* Long head of biceps femoris and* Ischial head of adductor magnus.